One of the most common side effects of inhaled beclomethasone dipropionate is:
1. Pneumonia
2. Oropharyngeal candidiasis
3. Atrophic rhinitis
4. Pituitary adrenal suppression

Correct answer: 2. Oropharyngeal candidiasis

Explanation: (Ref: KDT 6/e p225) Most common adverse effect of inhaled corticosteroids is oropharyngal candidiasis. Pituitary adrenal suppression is less likey with inhalational route of corticosteroids than with oral route.